A female patient presents with patchy hair loss with normal looking skin on scalp. Diagnosis is?
1. Tinea capitis
2. Cicatricial alopecia
3. Alopecia areata
4. Telogen effluvium

Correct answer: 3. Alopecia areata

Explanation: Ans. is 'c' i.e., Alopecia areata * Alopecia areata is characterized by patchy hair loss with normal skin. There is no atrophy or scarring.Points in favor arei) Diffuse hair fallii) History of accident with blood loss (stress)iii) Hair loss after 5 months of accident